Calculus is detrimental to the gingival tissues because it is
1. A mechanical irritant
2. Covered with bacterial plaque
3. Composed of calcium and phosphorous
4. Locked into surface irregularities

Correct answer: 2. Covered with bacterial plaque

Explanation: calculus is calcified dental plaque. It is always covered by a layer of uncalcified plaque, which is detrimental to the gingival tissues.